All of the following tumours are associated with organisms except:
1. Gastric carcinoma
2. Hepatocellular carcinoma
3. Nasopharyngeal carcinoma
4. Non-small cell lung carcinoma

Correct answer: 4. Non-small cell lung carcinoma

Explanation: Non-small cell lung carcinoma